The cause of a coloured 'Halo' in narrow angle glaucoma is
1. Increase IOP
2. Corneal oedema
3. Lenticular changes
4. Lacrimation

Correct answer: 2. Corneal oedema

Explanation: Clinical Features of Glaucoma - Cupping of disc. - Raised intraocular pressure with coloured halos due to corneal oedema Ref khurana 6th edition pg 1234 - Visual field defect.